Vertical banding gastroplasty, also known as stomach stapling is done for?
1. Gastric carcinoma
2. Achalsia cardia
3. Perforated gastric ulcer
4. Morbid obesity

Correct answer: 4. Morbid obesity

Explanation: ANSWER: (D) Morbid obesityREF: Sabiston Textbook of Surgery, 18th ed. Chapter 17Bariatric operations produce weight loss as a result of twTo factors. One is restriction of oral intake. The other is malabsorption of ingested food.Bariatric Operations: Mechanism of Action:RestrictiveVertical banded gastroplasty (VBG) (historic purposes only)Laparoscopic adjustable gastric banding (LAGB)Largely Restrictive/Mildly Malabsorptive Roux-en-Y gastric bypass (RYGB)Largely Malabsorptive/Mildly Restrictive Biliopancreatic diversion (BPD)Duodenal switch (DS)